Best test to determine etiology of SAH
1. Enhanced CT
2. Unenhanced CT
3. Intra arterial digital Substraction Angiography
4. MRI

Correct answer: 3. Intra arterial digital Substraction Angiography

Explanation: C i.e. Intra arterial digital Substraction Once dx is done by CT Scan; digital substraction angiography (DSA) is done to determine etiology. DSA is most sensitive & best inv. for determining etiologyQ. Now DSA is being replaced by noninvasive methods as MRA (MRI - angiography) & CTA (CT - Angiography).